Human B-cell lymphotropic virus belongs to-
1. Picomavirus
2. Poxvirus
3. Reovirus
4. Herpes virus

Correct answer: 4. Herpes virus

Explanation: Ans. is 'd' i.e., Herpes virus o Human B-cell lymphotropic virus is HHV type 6-o RK virus is Human herpes virus-7Classification of Human Herpes VirusesSpeciesSubfamilyCytopathologyState of latent infectionOfficial NameCommon NameHuman herpesvirus type 1Human herpesvirus type 2Human herpesvirus type 3Herpes simplex virus type 1Herpes simplex virus type 2Varicella zoster virusalphaalphaalphacytolyticcytolyticcytolyticneuronsneuronsneuronsHuman herpesvirus type 4Epstein-Barr virusgammalymphoproliferativelymphoid tissuesHuman herpesvirus type 5Cytomegalovirusbetacytomegalicsecretory glandsKidneys, other organs and tissuesHuman herpesvirus type 6Human B cell lymphotropic virusbetalymphoproliferativelymphoid tissuesHuman herpesvirus type 7R K virusbbetalymphoproliferativelymphoid tissuesHuman herpesvirus type 8 gamma